True about Thyroglossal tract/cyst.
1. Diverticulum attached to base of tongue
2. Treatment is Sistrunk operation
3. Enucleate cyst along with thyroglossal tract and remove portion of hyoid bone (central portion)
4. All of the above

Correct answer: 4. All of the above

Explanation: Thyroglossal cyst/tract
→ Thyroglossal duct cyst.
→ Diverticulum attached to base of tongue.
→ Treatment is Sistrunk operation.
→ Enucleate cyst along with thyroglossal tract and remove portion of hyoid bone (central portion)